Powers of a First Class Magistrate:
1. Fine upto 10,000 and 3 years imprisonment
2. Fine upto 10,000 and 5 years imprisonment
3. Fine upto 3000 and 5 years imprisonment
4. Unlimited fine and 7 years imprisonment

Correct answer: 1. Fine upto 10,000 and 3 years imprisonment

Explanation: Ans. Fine upto 10,000 and 3 years imprisonment